Treatment for stage T3N1 of carcinoma maxilla is -
1. Radiation therapy only
2. Chemotherapy only
3. Surgery and radiation
4. Chemotherapy and radiation

Correct answer: 3. Surgery and radiation

Explanation: Maxillary carcinoma is of two types

Squamous cell carcinoma — (MC. type of carcinoma)
Adenocarcinoma

T/T of maxillary carcinoma 

Squamous cell carcinoma → Combination of Surgery and radiotherapy gives better res is than either alone.
Radiotherapy can be given before or after surgery (The t/t is same in every stage of maxillary carcinoma)
Adenocarcinoma → Radiotherapy is ineffective, so only surgery is done.